Which of the following is not a metabolic function of the lung?
1. Synthesis of surfactant
2. Inactivation of bradykinin
3. Formation of angiotensin II
4. Inactivation of vasopressin

Correct answer: 4. Inactivation of vasopressin

Explanation: Metabolic functions of the lungs.1. Manufacture surfactant 2. Fibrinolytic system that lyses clots in pulmonary system.3. Release, synthesize various substances into the blood, removed some substances from circulation 4. Activate angiotensin I to angiotensin II. 5. Inactivation of bradykinin by the release of ACE (angiotensin converting enzyme or kininase)